Best marker for chronic PEM is -
1. Weight for age
2. Height for age
3. Weight for Height
4. Head circumference

Correct answer: 2. Height for age

Explanation: Ans. is 'b' i.e., Height for age Assessment of PEM* Weight for age = Acute* Height for age = Chronic* Weight for Height = Acute on chronicAge dependent factors* Weight# Height* Head circumference# Chest circumferenceAge independent factor* Mid arm circumference# Kanawati index* Me Laren's index# Quae stick* Shakir tape# Skin fold thickness* Rao & Singh# Dugdale* Jelleff's ration